Uncoupler in ETC
1. H2S
2. Antimycin a
3. 2, 4-dinitrophenol
4. Barbiturates

Correct answer: 3. 2, 4-dinitrophenol

Explanation: Dinitrophenol (DNP) a potent uncoupler is amphipathic and increase the permeability of the lipoid inner mitochondrial membrane to protons (H+), thus reducing the electrochemical potential and sho-circuiting the ATP synthase. In this way, oxidation can proceed without phosphorylation.Ref: MN Chatterjea Textbook of Medical Biochemistry, 8th edition, page no: 146